A patient presents with headache, high fever and meningismus. Within 3 days he becomes unconscious. Most probable causative agent ?
1. Naegleria fowleri
2. Acanthamoeba castellani
3. Entamoeba histolytica
4. Trypanosoma cruzi

Correct answer: 1. Naegleria fowleri

Explanation: Ans. is 'a' i.e., Naegleria fowleri Amongst the given options Naeglaria and Acanthamoeba cause amoebic encephalitis. "The prognosis of Naeglaria encephalitis is uniformaly poor, most patients die within a week". "Acanthamoeba encephalitis follows a more indolent course".